The most important stimulus controlling the level of resting ventilation is:
1. PO2 on peripheral chemoreceptors
2. PCO2 on peripheral chemoreceptors
3. pH on peripheral chemoreceptors
4. pH of CSF on central chemoreceptors

Correct answer: 4. pH of CSF on central chemoreceptors

Explanation: The most important stimulus comes from the pH of the CSF on the central chemoreceptors. The other choices are incorrect: The effect of PO2 on the peripheral chemoreceptors under normoxic conditions is very small. Changes in PCO2 do affect the peripheral chemoreceptors, but the magnitude is less than that for the central chemoreceptors. The effect of changes in pH on peripheral chemoreceptors under normal conditions is small, and changes in PO2 do not affect the central chemoreceptors.